What will be the PA O2 when FiO2 is 0.5?
1. >100
2. >150
3. >250
4. .>500

Correct answer: 3. >250

Explanation: FiO2 = fraction of O2 in inspired = 50% Pressure at sea level = 760 mm Hg According to law to partial pressures of gases, Pressures exerted by a gas in a mixture is proportional : if 50% of air is O2 PAO2 = 50 % of 760 = 380 mm Hg.